The site of action of Chlorthalidone?
1. Early distal tubule
2. Late distal tubule
3. Collecting duct medullary part
4. Collecting duct cortical part

Correct answer: 1. Early distal tubule

Explanation: Chlorthalidone is a thiazide like diuretic acts on an early part of distal tubules, inhibits NA+/CL- cotransport used in heart failure and hypertension.Ref: HL Sharma 3rd ed.pg:234